A 40-year old man with central obesity, "buffalo hump" and vertical purple striae on abdomen, has fasting blood glucose levels in high normal range. Plasma levels of ACTH and cortisol are both increased compared to normal. An overnight high-dose dexamethasone test produces 75% suppression of cortisol levels. This patient most likely has
1. Addison's disease
2. An ectopic ACTH-secreting tumor
3. Conn's syndrome
4. Cushing's disease

Correct answer: 4. Cushing's disease

Explanation: - Given patient has increased cortisol & ACTH levels with cushingoid signs & symptoms. - This could result from either functional ACTH-secreting tumor in pituitary (Cushing's disease) or an ectopic tumor (such as a small cell carcinoma of lung, choice B). - To distinguish b/w these two,high doses of potent synthetic glucocorticoid(dexamethasone) is administered High-dose dexamethasone suppresses ACTH secretion at least by 50% in Cushing's disease Whereas secretion from ectopic tumor is not suppressed by dexamethasone. - As 75% suppression of cortisol levels is seen in this pt, diagnosis is cushing's disease. OTHER OPTIONS: Addison's disease (choice A) is primary adrenal insufficiency, with increased plasma ACTH (producing hyperpigmentation) & decreased plasma cortisol, aldosterone levels compared to normal. Conn's syndrome (choice C) results from hypersecretion of aldosterone by adrenal cortex resulting in decreased ACTH production.